Donovan bodies are seen in ?
1. Leishmaniadonovani
2. Chlamydia trachomatis
3. Klebsiella
4. Calymmatobacteriumgranulomatis

Correct answer: 4. Calymmatobacteriumgranulomatis

Explanation: Ans. is 'd' i.e., Calymmatobacteriumgranulomatis